All of the following are true about bullous impetigo EXCEPT -
1. Caused by staphylococcus aureus
2. Common in neonates and infants
3. Lesions commonly occur on face
4. Lesions have an erythematous base

Correct answer: 4. Lesions have an erythematous base

Explanation: Lesions have an erythematous baseBullous impetigoIt is caused by Staphylococcus aureus most often phage type 71. It usually occurs in infants and manifests as vesicle that develops into bulla and later a pustule without any surrounding erythema. It mainly occurs on the face. The mucous membrane may be involved (in contrast to impetigo contagious). Lymphadenopathy is rare.